Which of the following favors filtration at the arteriolar end of the capillary bed?
1. Decrease in hydrostatic pressure of capillaries
2. Increase in hydrostatic pressure of capillaries
3. Increase in oncotic pressure of capillaries
4. Decrease in oncotic pressure of interstitium

Correct answer: 2. Increase in hydrostatic pressure of capillaries

Explanation: Starling's forces: The forces acting on the capillary to cause movement of fluid into or out of the capillary. Two forces that tend to move the fluid out of the capillary - Capillary hydrostatic pressure Interstitial colloid oncotic pressure. Two forces that tend to move the fluid back into the capillary - Plasma colloid oncotic pressure Interstitial hydrostatic pressure. At the arteriolar end of the capillary: The balance or net sum of these forces favor the fluid to move out; thus fluid leaks out of the capillary at this end. At the venous end of the capillary: The balance or net sum of these forces is in the favor of fluid movement back into the capillary.